Which of the following drug possess maximum action on nicotinic receptors?
1. Bethanechol
2. Carbachol
3. Pilocarpine
4. Methacholine

Correct answer: 2. Carbachol

Explanation: Drugs Acts on Action Indication Pilocarpine M3, Pupil Miosis Glaucoma Bethanechol M3, Bladder Increase outflow Atonic bladder Carbachol Nicotinic , muscarinic Methacholine M2 Cardiac suppression Tachycardia, Arrhythmias